Vitamin def encountered with isoniazid is
1. Vit A
2. Vit B9
3. Vit BB6
4. Vit B12

Correct answer: 3. Vit BB6

Explanation: Pyridoxine deficiency is seen with high doses of isoniazedRef:Katzung 11th ed Pg: 825